Indications for use of cyclophosphamide in SLE is
1. Arthritis
2. Anti DNA antibody + ive patients
3. Diffuse prolifereative glomerulonephritis
4. Oral ulcers

Correct answer: 3. Diffuse prolifereative glomerulonephritis

Explanation: Cytotoxic therapy is a cornerstone for patients with severe systemic lupus erythematosus (SLE). High-dose cyclophosphamide, 200 mg/kg, can induce a complete remission without the need for stem cell rescue in patients with autoimmune illnesses.High dose cyclophosphamide is a therapy capable of decreasing disease severity in poor prognosis SLE patients. Future study is warranted for both refractory patients as well as primary therapy for patients with moderate to severe disease presentations . Ref Davidson 23rd edition pg 941